After ureterosigmoidostomy which electrolyte abnormality may occur -
1. Hyperchloremic acidosis
2. Metabolic alkalosis
3. Metabolic acidosis
4. Hypochloremic acidosis

Correct answer: 1. Hyperchloremic acidosis